Game keepers thumb is ?
1. Thumb metacarpophalangeal joint ulnar collateral ligament rupture
2. Thumb metacarpophalangeal joint radial collateral ligament rupture
3. Thumb interphalangeal joint ulnar collateral ligament rupture
4. Thumb interphalangeal joint radial collateral ligament rupture

Correct answer: 1. Thumb metacarpophalangeal joint ulnar collateral ligament rupture

Explanation: Ans. is 'a' i.e., Thumb metacarpophalangeal joint ulnar collateral ligament rupture Injury to the thumb metacarpophalangeal joint ulnar collateral ligament is commonly referred to as gamekeeper thumb or skier's thumb, although the original "gamekeeper" description (Campbell, 1955) referred to an attritional ulnar collat- eral ligament injury. Snow skiing accidents and falls on an outstretched hand with forceful radial and palmar abduction of the thumb are the usual causes.